All are disorders of Phagocytosis except
1. Chronic granulomatous disease
2. Myeloperoxidase deficiency
3. Chediak-Higashi Syndrome
4. Nezelof Syndrome

Correct answer: 4. Nezelof Syndrome

Explanation: Nezelof Syndrome is autosomal recessive condition characterised by cellular immunodeficiency.